Emergency retentive force is:
1. Atmospheric pressure
2. Surface tension
3. Cohesion
4. Adhesion

Correct answer: 1. Atmospheric pressure